In alcohol withdrawal drug of choice is:
1. Haloperidol
2. Chlordiazepoxide
3. Naltrexone
4. Disulfiram

Correct answer: 2. Chlordiazepoxide

Explanation: Benzodiazepines are the drug of choice in alcohol withdrawal. If the question asks to choose a specific benzodiazepine, the best choice would be chlordiazepoxide.